Hormone decreasing with age:
1. Parathormone
2. FSH
3. Growth hormone
4. Norepinephrine

Correct answer: 3. Growth hormone

Explanation: Ans. (c) Growth hormone(Ref: Harrison, 18th ed/p.575)Hormones that decreases with age are:#Growth hormone#Luteinizing hormone (Men)#Testosterone#Estradiol#Melatonin#25-OH vitamin D#Aldosterone#Dihydroepiandrosterone (DHEA)